The Pearl index indicates the number of accidental pregnancies per-
1. 1000 population
2. 1 0 0 live births
3. 100 women in the age group of 15 to 44 years
4. 100 women years

Correct answer: 4. 100 women years

Explanation: Ans. is 'd' i.e., 100 women years